All are true about Bacillus except:
1. Mc Fadyean's reaction is used in presumptive diagnosis of anthrax infection
2. Medusa head appearance of colonies in gelatin stab culture
3. PLET is the selective medium
4. Ascoli's thermoprecipitation test is used for laboratory diagnosis

Correct answer: 2. Medusa head appearance of colonies in gelatin stab culture

Explanation: Ans. is 'b' i.e., Medusa head appearance of colonies in gelatin stab cultureMedusa head appearance is seen on agar microscopy, Bamboo stick appearance seen on gram staining.PLET - stands for Polymyxin, Lysozyme, EDTA and Thallous acetate